True about psychotic feature in depression
1. Found in severe depression
2. Found in moderate depression
3. None
4. Cyclothermia

Correct answer: 1. Found in severe depression

Explanation: A i.e. Found in severe depression